Garland sign on CXR in sarcoidosis involves all except:-
1. Right paratracheal nodes
2. Right hilar nodes
3. Left hilar nodes
4. Left pretracheal lymph nodes

Correct answer: 4. Left pretracheal lymph nodes

Explanation: Garland's triad (also known as the 1-2-3 sign or Pawn brokers sign) is a lymph node enlargement pattern which has been described in sarcoidosis. It comprises of 1.Right paratracheal nodes 2.Right hilar nodes 3.Left hilar nodes